All are features of early retinal detachment except-
1. Retroorbital pain
2. Photopsia
3. Floaters
4. Darkened peripheral field of vision

Correct answer: 1. Retroorbital pain

Explanation: Retroorbital pain is not associated with retinal detachment. Pain is last symptom They are often present with photopsia, floaters, darkened peripheral field of vision. Ref AK khurana 6/e p302